Reversible methods of contraception are:a) Female sterilization b) OCPc) IUCDd) Barriere) Depot injection
1. bce
2. abd
3. abcd
4. bcde

Correct answer: 4. bcde